The ideal timing of radiotherapy for Wilms tumour after surgery is –
1. Within 10 days
2. Within 2 weeks
3. Within 3 weeks
4. Any time after surgery

Correct answer: 1. Within 10 days

Explanation: The postoperative radiotherapy in Willm's tumor is started within 10 days of surgery. Delay in starting RT beyond 10 days leads to tumor cell repopulation and increase in relapse rate.